Dysphagia mainly for liquids is seen with
1. Achalasia cardia
2. Zenker diverticulum
3. Barret esophagus
4. Diffuse esophageal spasm

Correct answer: 1. Achalasia cardia

Explanation: Ans. (a) Achalasia Cardia* Achalasia is a rare disease caused by loss of inhibitory ganglion cells within the esophageal myenteric plexus* It leads to a hypertensive lower oesophageal sphincter (LOS) which fails to relax on swallowing, and by aperistalsis of the body of the oesophagus.* Long-standing achalasia is characterized by progressive dilatation and sigmoid deformity of the esophagus with hypertrophy of the LES.Clinical Presentation* Progressive dysphagia is the most common presenting symptom. It generally concerns initially liquids and later both liquids and solids from the outset.# Dysphagia: Liquids > Solid* The second most common symptom is the regurgitation of undigested food during or shortly after a meal.Investigation* Screening: Barium study- Bird beak appearance* IOC: ManometryTreatment* Medical management:# Calcium channel blockers# Nitrates# Botulinum toxin (injected into the LES under endoscopic guidance)* Surgical management:# Harrison states: "The only durable therapies for achalasia are pneumatic dilatation and Heller myotomy"# Surgery of choice: Heller's myotomy